All of the following are components of Whipple's triad except:
1. Symptoms of hypoglycemia
2. Increased insulin levels
3. Symptoms improve after glucose administration
4. Low blood glucose

Correct answer: 2. Increased insulin levels

Explanation: Ans: B i.e. Increased insulin levels Whipple's triad includes symptoms of hypoglycaemia, low blood glucose measured at the time of symptoms and symptoms resolved on correction of hypoglycemia